Krabbe's disease is caused by a defect of -
1. Ceramidase
2. b galactosidase
3. a galactosidase
4. Galactosyl ceramidase

Correct answer: 4. Galactosyl ceramidase

Explanation: Ans. is 'd' i.e., Galactosyl ceramidaseLipid storage disordersDisorderEnzyme defectGaucher's diseaseb glucosidaseNiemann Pick diseaseSphingomyelinaseFabry's diseasea galactosidaseGM1 gangliosidosisb galactosidaseGM2 gangliosidosisHexosaminidase ASandhoff s diseaseHexosaminidase A and BKrabbe's diseaseGalactosyl ceramidaseMetachromatic leukodystrophyAryl Sulfatase AFarber's diseaseCeramidaseWolman's diseaseAcid lipase